Most common mode of treatment of a 1 year old child with asthma is -
1. Inhaled short acting beta 2 agonist
2. Oral short acting theophylline
3. Oral ketotifen
4. Leukotriene agonist

Correct answer: 1. Inhaled short acting beta 2 agonist

Explanation: Ans. is 'a' i.e., Inhaled short acting beta 2 agonists Treatment ofAsthma a Treatment of asthma can be divided into ? A) Treatment of chronic asthma B) Treatment of acute excarhation ? a) Treatment of mild, moderate or severe exacerbation b) Treatment of life threatening exacerbation (status asthmaticus) Treatment of chronic asthma o Treatment of chronic asthma is given to control the asthma and to prevent acute exacerbation. o Severity of asthma is classified on the basis of ? 1) Frequency of daytime symptoms 3) Degree of airflow obstruction (FEV,) 2) Frequency of night time symptoms 4) Peak expiratory flow (PEF) variability o For children less than 5 years of age, severity is classified on the basis of (1) and (2) only because young children cannot perform the maneuver required for lung function measurment ((3) & (4)). 1) Mild intermittent 2) Mild persistent Symptoms for 2 days/week Symptoms > 2days / week Symptoms for 2 night/month Symptoms >2 night / months FEV1 80% FEV I 80% PEF variability < 20% PEF variability 20-30% 3) Moderate persistent 4) Severe persistent Day symptoms daily Continuous day symptoms Symptoms > 1 night/week Frequent night symptoms FEV1 > 60% - < 80% FEVI 60% PEF variability >30% PEF variability >30% o A stepwise pharmacological therapy is indicated.